True regarding metamorphopsia:
1. Age related change
2. Associated with diseases affecting macula
3. Occurs when too much light shines into eyes
4. Interpreted by brain as 'flashes'

Correct answer: 2. Associated with diseases affecting macula

Explanation: Ans: B i.e. Associated with diseases affecting macula